Substance dependence could be due to all of the following, EXCEPT:
1. Personality
2. Peer Pressure
3. Family history of substance abuse
4. Intelligence

Correct answer: 4. Intelligence

Explanation: Intelligence is not a direct factor in predisposing to substance misuse. The factors associated are given below. Biological factors that may contribute to the development of substance-use disorders include interindividual differences in (1) susceptibility to acute psychopharmacologic effects of a given drug; (2) metabolism of the drug; (3) cellular adaptation within the CNS to chronic exposure to the drug; (4) predisposing personality characteristics (e.g., sensation seeking, poor impulse control, difficulty delaying gratification, or antisocial traits); and (5) susceptibility to medical and neuropsychiatric complications of chronic drug self-administration. Psychological factors include: such as (1) the presence of co-occurring psychopathology (e.g., depression, anxiety, attention-deficit/hyperactivity disorder, psychosis, pathological gambling, eating disorders, or problematic hypersexuality); (2) medical illnesses (e.g., chronic pain, essential tremor); (3) or past or present severe stress (e.g., resulting from crime, battle exposure, sexual trauma, or economic difficulties)--have received considerable attention as potential causes for "self-medication." Social factors also contribute to the initiation of drug use and the progression of substance-use disorders. Such social factors include (1) peer group attitudes toward, and shared expectations of the benefits of, drug use (such as enhanced pleasurable activities with drug use) or peer pressure; (2) drug use in a family member ; (3) the availability of competing reinforcers in the form of educational, recreational, and occupational alternatives to substance use; (4) and the availability of drugs during particular developmental stages.